Frey's syndrome is associated with
1. Sympathetic fibres of auriculo temporal nerve
2. Parasympahetic fibres of trigeminal nerve
3. Parasympathetic fibres of auriculo temporal nerve
4. Motor fibres of facial nerve

Correct answer: 3. Parasympathetic fibres of auriculo temporal nerve

Explanation: Vishram singh textbook of clinical neuroanatomy 2nd edition. * This syndrome occurs following auriculotemporal nerve injury. As a result there is aberrant innervation of sweat glands by parasympathetic secretomotor fibres.